Gastric lavage is contraindicated in all the following poisonings except:-
1. Phenol
2. Sulphuric acid
3. Kerosene
4. Nitric acid

Correct answer: 1. Phenol

Explanation: Gastric lavage is absolutely contraindicated in following condition Corrosive (except phenol which thickens the membrane and maintains leathery consistency so gastric lavage can be done) Convulsant patient Comatose patient Kerosene poisoning